A patient gives history of recurrent episodes of pain and swelling in Mandibular posterior region.He is diagnosed to have pericoronitis.The partially erupted 3rd molar was vital.On radiographical examination a well defined radiolucency was found with distal aspect of the respected tooth. What could be the daignosis:
1. Dentigerous cyst.
2. Paradental cyst.
3. Eruption cyst.
4. Periapical cyst.

Correct answer: 2. Paradental cyst.

Explanation: Paradental Cyst
Aka:

Baccal bifurcation Cyst
Craig’s cyst
Collateral cyst
Mandi 3rd molar – Association.

Associated with VITAL TOOTH and recurrent pericoronitis DISTAL Aspect of mandi 3rd molar